A diabetic patient 2 days after post cataract surgery develops develops hypopyon. What will be the management?
1. Intravitreal antibiotics
2. Eye drops
3. Surgery
4. No treatment required

Correct answer: 1. Intravitreal antibiotics

Explanation: REF : AK KHURANA 7TH ED